The threshold dose of fluoride that requires immediate emergency treatment and hospitalization in acute fluoride toxicity is:
1. 4mg
2. 5mg
3. 6mg
4. 7mg

Correct answer: 2. 5mg